Investigation of choice for intermittent gastrointestinal obstruction:
1. X-ray
2. USG
3. Enteroclysis
4. Barium meal follow-through

Correct answer: 3. Enteroclysis

Explanation: SBO IOC for Dx: X-ray Abdomen ERECT | AIR-FLUID LEVELS SUPINE | SITE OF OBSTRUCTION supine > Erect Gold standard: Diagnostic uncertainty High grade obstruction Etiology Strangulation IOC for Dx of low grade intermittent SBO: Enteroclysis